Haemoglobin is the major buffer in blood, bicarbonate ions diffuses out of erythrocyte into plasma in exchange of:
1. Potassium
2. Phosphate
3. Carbonic acid
4. Chloride ion

Correct answer: 4. Chloride ion